Local anesthetics are typically injected or applied very close to their intended site of action. From which of the following routes absorption of local anaesthetic is maximum?
1. Intercostal
2. Epidural
3. Brachial
4. Caudal

Correct answer: 1. Intercostal

Explanation: The rate of systemic absorption is proportionate to the vascularity of the site of injection: intravenous > tracheal > intercostal > caudal > paracervical > epidural > brachial plexus > sciatic > subcutaneous. Ref: Morgan, Jr. G.E., Mikhail M.S., Murray M.J. (2006). Chapter 14. Local Anesthetics. In G.E. Morgan, Jr., M.S. Mikhail, M.J. Murray (Eds), Clinical Anesthesiology, 4e.